Tear drop heart is seen in
1. Pulmonary Vein obstruction
2. Mitral incompetence
3. Chronic emphysema
4. Constrictive pericarditis

Correct answer: 3. Chronic emphysema

Explanation: Tear drop heart - Chronic emphysema.
Pentagon shaped heart - Mitral incompetence.